Amino acid with double chiral is ?
1. Phenyalanine
2. Threonine
3. Tryptophane
4. Tyrosine

Correct answer: 2. Threonine

Explanation: Ans. is 'b' i.e., Threonine